The dose of Digoxin should be reduced when given along with -
1. Quinidine
2. Rifampicin
3. Indomethacin
4. Antacids

Correct answer: 1. Quinidine

Explanation: Ans. is 'a' i.e., Quinidine Quinidine reduces binding of digoxin to tissue proteins as well as its renal/biliary clearance. Its plasma concentration is then doubled and toxicity may occur if dose is not reduced.